Increased PT and Normal PTT are found in? -
1. Von Willibrand's disease
2. Factor 7 deficiency
3. Factor 8 deficiency
4. Thrombin deficiency

Correct answer: 2. Factor 7 deficiency

Explanation: Answer is option 2, factor seven deficiency The investigations revealed normal platelet counts, deranged prothrombin time (PT) with International normalised ratio (INR) of 6.2. Activated partial thromboplastin time (aPTT) was within normal limits. Ref Robbins 9/e pg 449